Not a feature of septic tank
1. Used where public sewerage system is adequate
2. Water tight compartment
3. Used where water supply is adequate
4. Used for personal and small public use

Correct answer: 1. Used where public sewerage system is adequate